Which of the following is untrue regarding "sick sinus syndrome":
1. Occurs most commonly in elderly
2. Coronary disease is a common cause
3. ECG manifestations are often intermittent
4. Most symptomatic patients will require permanent pacing.

Correct answer: 2. Coronary disease is a common cause

Explanation: Coronary disease is a common cause Sick sinus syndrome is usually caused by idiopathic fibrosis of the sinus node. - Coronary disease is an uncommon cause. - Pharmacologic therapy for sick sinus syndrome has been difficult but recent studies have indicated that oral theophylline may be effective especially when sinus bradycardia is the major manifestation.